Mainly included in child survival index ?
1. MMR
2. IMR
3. Mortality between 1 to 4 yr. age
4. Under 5 mortality

Correct answer: 4. Under 5 mortality

Explanation: Ans. is 'd' i.e., Under 5 mortality